A 22-year-old primigravida at 11 weeks of gestational age has a blood pressure reading of 150/100 mm Hg obtained during a routine visit. . The patient denies any headache, visual changes, nausea, vomiting, or abdominal pain. Her repeat BP is 160/90 mm Hg, and urinalysis is negative for protein. Which of the following is the most likely diagnosis?
1. Preeclampsia
2. Chronic hypertension
3. Eclampsia
4. Gestational hypertension

Correct answer: 2. Chronic hypertension

Explanation: Chronic hypertension is defined as BP >140/90 mmHg before pregnancy or diagnosed before 20 weeks of gestation, or hypertension first diagnosed after 20 weeks of gestation and persistent after 12 weeks postpartum. The average prevalence of hypertension in women aged 18 to 39 years is approximately 5-7 percent.